Alkalization of urine is done in which poisoning:
1. Barbiturates
2. Amphetamine
3. Alcohol
4. Cocaine

Correct answer: 1. Barbiturates

Explanation: Ans. Barbiturates